Transection of the brain stem at the mid-pontine level with bilateral vagotomy causes ______
1. Ceasation of spontaneous respiration
2. Continuation of regular breathing
3. Irregular but rhythmic respiiration
4. Apneusis

Correct answer: 4. Apneusis

Explanation: Transection of the brainstem at the midpoint level with bilateral vagotomy causes apneusis. At mid pontine level lesion, the apneustic centre is intact while the pneumotaxic centre is seperated. Concurrent removal of vagus inputs causes this kind of abnormal pattern of breathing characterized by deep, gasping inspiration with a pause at full inspiration followed by a breif insufficient release. Effect of various Lesions and Brainstem Transection Label Level of transection Vagi intact vagi cut A Complete transection above pons Regular breathing continues Regular breathing continues but depth of inspiration increases B Mid-pontine level section Regular breathing continues Apneusis develops C Transection midway between pons and medulla Irregular but rhythmic respiration Irregular but rhythmic respiration D Complete transection below medulla Spontaneous respiration ceases Spontaneous respiration ceases Ref: Ganong's review of medical physiology 25th edition Pgno: 645-657